Sulphur granules in actinomycosis consists of -
1. Neutrophils
2. Macrophases
3. Organisms
4. Eosinophils

Correct answer: 3. Organisms

Explanation: Ans. is 'c' i.e., Organisms o The diagnosis is most commonly made by microscopic identification of sulphur granules (an in-vivo matrix of bacteria calcium phosphate, and host material). - Harrison 18/e 1329o The sulfur granules are bacterial colonies and will be found to consist of a dense network of thin Gram positive filaments, surrounded by a peripheral zone of swollen radiating club shaped structures, presenting a sun ray appearance. The 'clubs' are believed to be antigen - antibody complexes.